Typhoid intestinal perforation is usually occurs in which week of typhoid fever?
1. 2nd - 3rd week
2. 4th - 5th week
3. 5th - 7th week
4. 6th - 8th week

Correct answer: 1. 2nd - 3rd week

Explanation: Ans. is 'a' i.e., 2nd - 3rd week * In the second or third week of the illness, if there is severe generalised abdominal pain, this heralds a perforated typhoid ulcer. The patient, who is already very ill, deteriorates further with classical features of peritonitis. An erect chest X-ray or a lateral decubitus film (in the very ill, as they usually are) will show free gas in the peritoneal cavity.* In fact, any patient being treated for typhoid fever who shows a sudden deterioration accompanied by abdominal signs should be considered to have a typhoid perforation until proven otherwise.